True about corynebacterium diphtheriae is all except-
1. Deep invasion is not seen
2. Elek's test is done for toxigenicity
3. Metachromatic granules are seen
4. Toxigenicity is mediated by chromosomal change

Correct answer: 4. Toxigenicity is mediated by chromosomal change